Theca lutein are usually managed by -
1. USG guided therapeutic aspiration
2. Medical management with methotrexate
3. Laparoscopiccystectectomy
4. Spontaneous regression - resolves after management of the underlying cause

Correct answer: 4. Spontaneous regression - resolves after management of the underlying cause

Explanation: Ans is 'd' i.e., Spontaneous regression-resolves after management of the underlying causeTheca Lutein CystsThese cysts can sometimes enlarge to several centimeters in diameter.They are usually bilateral and filled with straw-colored fluid.Theca lutein cysts are often found in association with hydatidiform moles, choriocarcinoma and gonadotropin (hCG) or clomiphene therapy.The cysts spontaneously regress after elimination of the mole, therapeutic curettage, treatment of choriocarcinoma or discontinuation of gonadotropin therapy.Functional cysts are distinguished from neoplastic cysts by the fact that they never grow more than 7 cm in size, are unilocular with clear fluid, and regress after some time.